Risk of stroke after TIA is
1. 5-10% in 3 months
2. 10-15% in 3 months
3. 20-25% in 3 months
4. 30-35% in 3 months

Correct answer: 2. 10-15% in 3 months

Explanation: The risk of stroke after a TIA is 10-15% in the first 3 months, with most events occurring in the first 2 days. This risk can be directly estimated using the well-validated ABCD2 scoreA: Age >=60 years 1B: SBP >140 mmHg or DBP >90 mmHg 1C: Clinical symptomsUnilateral weakness Speech disturbance without weakness 21D: Duration>60 min 10-59 min 21D: Diabetes (oral medications or insulin) 1Score of 0 has 0% increased rate, whereas score of 7 has 22% rate of stroke in 3 months.Ref: Harrison 19e pg: 2569